Muscle stapedius is supplied by which nerve?
1. VII Cranial nerve
2. VIII Cranial nerv
3. IX Cranial nerve
4. X Cranial nerve

Correct answer: 1. VII Cranial nerve

Explanation: (A) VII Cranial nerve # Stapedius lies in a bony canal that is related to the posterior wall of the middle ear.> Stapedius is supplied by the facial nerve (VII CN).> It develops from the mesoderm of the second branchial arch.